A 32 years old patient develops vomiting 3-4 hours after eating a meal. What is the most likely cause?
1. Staphylococcus aureus
2. Salmonella enteritidis
3. Clostridium botulinum
4. Clostridium perfirengens

Correct answer: 1. Staphylococcus aureus

Explanation: Incubation period of staphylococcal food poisoning is 1-6 hours. Food Poisoning Organism Incubation period Staphylococcal 1-6 hours Salmonella 12-24 hours Botulism 12-36 hours Clostridium perfringens 6-24 hours Bacillus cereus 1-6 hours E.coli 8-72 hours